Receptor responsible for decrease in aqueous humor formation:
1. Beta 1
2. Alpha 2
3. M2
4. Beta 2

Correct answer: 2. Alpha 2

Explanation: Ans. B. Alpha 2Stimulation of alpha 2 present on ciliary muscle helps in reduction of aqueous humor. This mechanism is utilized in treatment of glaucoma by apraclonidine, brimonidine. Answer is B